Which of the following condition is associated with Gottron's sign?
1. Dermatomyositis
2. SLE
3. Scleroderma
4. MCTD

Correct answer: 1. Dermatomyositis

Explanation: Gottron's sign is a characteristic feature of dermatomyosistis. It is a violaceous, erythematous, symmetrical rash that occur on the extensor surface of the metacarpophalangeal and interphalangeal joints. Similar lesions can also occur over the elbow and knees. Other features of dermatomyositis are -heliotrope rash which is a reddish purple rash that occur on the eyelids which is associated with swelling of the eyelid. -Periungal erythema -abnormal nail bed capillary loops and -cracking of the skin of the tips of fingers are also seen in dermatomyositis.